In burns , back constitutes how much %-
1. 9%
2. 18%
3. 36%
4. 13.50%

Correct answer: 2. 18%

Explanation: Ans. is 'b' i.e., 18%